What is the substrate for the only physiologically irreversible reaction in the Kreb's Citric acid cycle?
1. Citrate
2. Alpha ketoglutarate
3. Succinate
4. Malate

Correct answer: 2. Alpha ketoglutarate

Explanation: B i.e. Alphaketoglutarate